Occupational Lung Disease commonly seen in Textile industry Workers is -
1. Byssinosis
2. Bagassosis
3. Farmes's Lung
4. Asbestosis

Correct answer: 1. Byssinosis

Explanation: Ans. is 'a' i.e., Byssinosis o Farmers lung is produced due to the fungus thermophilic actinomyces.Hypersensitivity PneumonitidesTextile workersEnvironmental sourceMajor causative antigeno Byssinosis ("brown June") unclear if a true cause of HP' asthma is common)o Cotton mill dust (carding and spinning areas of cotton, flax, and soft-hemp)o "Velvet" worker'slungo Unknown (nylon velvet fiber, tannic acid, potato starch)o Upholstery fabric (nylon filament, cotton'polyester, and latex adhesiveo Aflatoxin-producing fungus, Fusarium sport Lycoperdonosis (Ivcoperdon puffballs)o Puffball sporesAssociated with farmingo Moldy hay, grain, silage (Farmer's lung)o Thermophilic actinomycetes, such as Faenirecti virgula (also known as Micropolyspora faeni or Saccharopolvspora rectivirgula)o Fungus, such as Aspergillus umbrosuso Mold on pressed sugar cane(bagassosis. very rare cases)o Thermoactinomvces saechari. T. vulgariso Tobacco plants (tobacco grower'slung; "Blackfat' tobacco)o Aspergillus sport Scopulariopsis brevicauliso Mushroom worker's lungo Mushroom sporeso Thermophilic actinomyceteso Potato fiddler's lung (moldy hayaround potatoes)o Thermophilic actinomyceteso V. vulgariso F. rectivirgulao Aspergillus sport Paprika slicer's lung (moldy paprika pods)o Mucor stolonifero Wine maker's lung (mold on grapes)o Botrytis cincreao Cheese washer's lung (moldy cheese)o Penicillium caseio Aspergillus clavatuso Coffee worker's lungo Coffee-bean dusto Tea grower's lungo Tea plants